Which one of the following provides hemodynamic stability and prolongs survival in congestive heart failure?
1. Lisinopril
2. Furosemide
3. Digoxin
4. Milrinone

Correct answer: 1. Lisinopril

Explanation: Ref:KDT 6/e p486 Hemodynamic instability as a clinical state is, for practical purposes, either perfu- sion failure represented by clinical features of circulatory shock and/or advanced heart failure, or simply one or more measurements which may indicate out-of- range but not necessarily pathological values. Physical signs of acute circulatory failure constitute primary references for shock, including hypotension, abnormal heart rates, cold extremities, peripheral cyanosis and mottling together with bed- side measurements of right-sided filling pressure and decreased urine flow